Which of the following is not seen in mitral stenosis?
1. Loud S1
2. Opening snap
3. Mid diastolic murmur
4. S3

Correct answer: 4. S3

Explanation: Mitral Stenosis is a/w : -Loud S1 -Opening Snap -Mid Diastolic murmur The first heart sound (S1) is usually accentuated and slightly delayed. The pulmonic component of the second heart sound (P2) also is often accentuated, and the two components of the second heart sound (S2) are closely split. The opening snap (OS) of the mitral valve is most readily audible in expiration The OS is followed by a low-pitched, rumbling, diastolic murmur, heard best at the apex with the patient in the left lateral recumbent position In general, the duration of this murmur correlates with the severity of the stenosis in patients with preserved cardiac output. Note : Rheumatic Heart Disease is the mc causue of MS.